Levonorgestrel-releasing Intrauterine device is advised in fibroid management if uterine size is less than
1. 12 weeks
2. 14 weeks
3. 16 weeks
4. 20 weeks

Correct answer: 1. 12 weeks

Explanation: The levonorgestrel-releasing intrauterine system (LNG-IUS) may be reasonable treatment for selected women with fibroid-associated menorrhagia.In women with fibroids, uterine size no larger than 12 weeks, and a normal uterine cavity, LNG-IUS substantially reduces menstrual bleeding.Reference: Novak's Gynaecology; 14th edition; Chapter 15; Uterine fibroids